Snellen's test types are based on the fact that two distant points can be visible as separate only when they subtend at the nodal point of the eye an angle of:
1. 1 minute
2. 3 minute
3. 5 minute
4. 2 minute

Correct answer: 1. 1 minute

Explanation: Ans. 1 minute